Adjuvant used in DPT is
1. Aluminium
2. Magnesium
3. Manganese
4. Silica

Correct answer: 1. Aluminium